Involucrum means -
1. Dead bone
2. New living bone
3. Previous living bone
4. None of the above

Correct answer: 2. New living bone

Explanation: In osteomyelitis:-

Sequestrum → The Dead piece of bone.
Involucrum Reactive woven or lamellar bone around sequestrum.